Leutic aneurysms are common in all except ?
1. Ascending aorta
2. Arch of aorta
3. Descending thoracic aorta
4. Abdominal aorta

Correct answer: 4. Abdominal aorta

Explanation: Ans. is 'd' i.e., Abdominal aorta Syphilitic aneurysms are also called leutic aneurysms